Torticollis or Wryneck is due to
1. Sternocleidomastoid and trapezius
2. Sternocleidomastoid and Platysma
3. Trapezius and sternohyoid
4. Trapezius and omohyoid

Correct answer: 1. Sternocleidomastoid and trapezius

Explanation: It is due to spasm of the muscles supplied by spinal accessory nerve i.e. sternocleidomastoid and trapezius.